Red man syndrome is due to -
1. Vancomycin
2. Polymyxin
3. Rifampicin
4. Teicoplanin

Correct answer: 1. Vancomycin

Explanation: Ans. is 'a' i.e., Vancomycino Vancomycin and Teicopianin are glycopeptide antibiotics,o VancomycinIt acts by inhibiting bacterial cell wall synthesis.It has narrow spectrum -->>against gram (-)ve organisms. With the single exception of flavobacterium, vancomycin is active only against gram-positive bacteria, particularly staphylococci.Adverse effects - Ototoxicity, nephrotoxicity, Red man syndrome on rapid IV injection (diffuse flushing due to histamine release), skin allergy and fall in BP due to histamine release from mast cells. Red Man Syndrome is the most common adverse reaction to vancomycin.It is the DOCfor MRS A infection and second choice to metronidazole for pseudomembranous colitis caused by C. difficile.It is used orally to treat pseudomembranous colitis by Clostridium difficile because it is not absorbed from the gastrointestinal tract and higher concentratioin reaches the colon.Otherwise vancomycin is used i.v. route and teicopianin by i.v. or i.m. route.o TeicopianinIt is a newrer glycopeptide with mechanism of action and spectrum of activity similar to vancomycin.It is more active than vancomycin against entercocci, and equally active against MRS A.o Oritavancin is a newer glycopeptide for the treatment of MRSA.o Telavancin has been approved for complicated skin and skin structure infections. It is effective against MRSA. Mechanism is similar to vancomycin, in addition it also disrupts membrane potential.o Dalbavancin is once weekly drug being developed for MRSA and VRSA.